Distance between nodal point and cornea in Listing's Reduced eye is-
1. 7.2mm
2. 9mm
3. 12mm
4. 15.3mm

Correct answer: 1. 7.2mm

Explanation: Ans. is 'a' i.e., 7.2 mm PointDistance in Listing's Reduced EyeNodal Point7.2mm behind the anterior corneal surfaceAnterior Focal Point15.7 mm anterior to anterior corneal surfacePosterior Focal point24.13mm behind anterior corneal surfaceAnterior focal length17.2mmPosterior Focal length22.63mmUniform Refractive Index1.336